The MOST common enzyme deficiency responsible for Galactosemia is related to which of the following enzymes?
1. UDP galactose epimerase
2. Galactokinase
3. Galactosidase
4. Galactose-l-phosphate uridyl transferase

Correct answer: 4. Galactose-l-phosphate uridyl transferase

Explanation: Galactose-1-phosphate uridyltransferase (GALT) deficiency is the most common enzyme deficiency that causes hypergalactosemia. Hereditary galactosemia is among the most common carbohydrate metabolism disorders and can be a life-threatening illness during the newborn period. Ref: Liver Disease in Children By Frederick J. Suchy, Ronald J. Sokol, William F. Balistreri, 2007, Page 596; Textbook of Biochemistry and Human Biology by L. M. Srivastava, Page 353; Saunders manual of pediatric practice by Laurence Finberg, Ronald E. Kleinman, Page 238